Darwin tubercle is seen in
1. Tragus
2. Helix
3. Antihelix
4. Lobule

Correct answer: 2. Helix

Explanation: Darwin's tubercle (or auricular tubercle) is a congenital ear condition which often presents as a thickening on the helix at the junction of the upper and middle thirds The features present in approximately 10.4% of the population. This acuminate nodule represents the point of the mammalian ear. Ref: PL Dhingra, Diseases of Ear, Nose & Throat, 7th edition, pg no. 3